Which of the following has a normal level of alpha-fetoprotein value in serum?
1. Ovarian dysgerminoma
2. Hepatoblastoma
3. Embroynal carcinoma
4. Yolk sac tumours

Correct answer: 1. Ovarian dysgerminoma